What is the pH of blood under normal physiological conditions?
1. 6.8
2. 7.1
3. 7.4
4. 7.9

Correct answer: 3. 7.4

Explanation: The pH of arterial blood is normally close to 7.40, with a normal range considered to be about 7.35 to 7.45. An arterial pH less than 7.35 is considered acidemia; an arterial pH greater than 7.45 is considered alkalemia. Under pathologic conditions the extremes of arterial blood pH have been noted to range as high as 7.8 and as low as 6.9. Ref: Levitzky M.G. (2013). Chapter 8. Acid-Base Balance. In M.G. Levitzky (Ed), Pulmonary Physiology, 8e.